The inferior cerebellar peduncle has all the following tracts except -
1. Vestibulocerebellar
2. Olivo cerebellar
3. Spino cerebellar
4. Ponto cerebellar

Correct answer: 4. Ponto cerebellar